Acute retropharyngeal abscess, not true ?
1. Due to lymphadenitis
2. Common in adults
3. Swelling on one side of midline
4. Incision & drainage

Correct answer: 2. Common in adults

Explanation: Ans. is 'b' i.e., Common in adults Retropharyngeal abscess Retropharyngeal space lies behind the pharynx, i.e. between buccopharyngeal fascia covering pharyngeal constrictor muscles (anteriorly) and prevertebral fascia covering the prevertebral muscles (posteriorly). So, retropharyngeal space lies behind the pharyngeal constrictor muscles and anterior to prevertebral fascia covering the prevertebral muscles. Abscess in this space may present differently depending upon the age :? Abscess in infants (acute Retropharyngeal abscess) It is commonly seen in infants and children below 3 years of age. Most commonly it results from retropharyngeal lymphadenitis due to an upper respiratory tract infection. The presention is acute, i.e. child has high temperature and sore throat. There is smooth swelling (bulge) in posterior pharyngeal wall on one side of the midline. There is dysphagia, difficulty in breathing, stridor, croupy cough and torticollis. Swelling can be palpable per orally on the posterior pharyngeal wall. Treatment is incision and drainage. Abscess in adults (chronic retropharyngeal abscess) If an adult or an older child has a retropharyngeal infection it is likely to be due to a tuberculous infection of the cervical spine (caries of cervical spine). Sometime it may be secondary to tuberculous infection of retropharyngeal lymph nodes. It is of slow onset and gives rise to pharyngeal discomfort, rather than pain. There is fluctuant swelling in posterior pharyngeal wall, centrally in the midline (if it is secondary to caries of cervical spine) or on one side of midline (if it is secondary to tuberculosis of retropharyngeal nodes). Treatment includes incision and drainage of abscess along with full course of antitubercular treatment.